Cane sugar is:
1. Glucose
2. Sucrose
3. Fructose
4. Maltose

Correct answer: 2. Sucrose